Most important side effect of insulin:
1. Hypoglycaemia
2. Lipodystrophy
3. Insulin resistance
4. Antibodies to insulin

Correct answer: 1. Hypoglycaemia

Explanation: Ans: a (Hypoglycaemia) no referance needed for this one !!!CAUSES OF HYPOGLYCAEMIAFasting (Postabsorptive) Hypoglycemia DrugsEndogenous hyperinsulinismEspecially insulin, sulfonylureas, ethanolInsulinomaSometimes quinine, pentamidineOther beta cell disordersRarely salicylates, sulfonamides, othersInsulin secretagogue (sulfonylurea)Critical illnessesAutoimmune (autoantibodies to insulinHepatic, renal, or cardiac failureor the insulin receptor)SepsisEctopic insulin secretionInanitionDisorders of infancy or childhoodHormone deficienciesTransient intolerance of fastingCortisol, growth hormone, or bothCongenital hyperinsulinismGlucagon and epinephrineInherited enzyme deficiencies(in insulin -deficient diabetes) Non-beta-cell tumors Reactive (Postprandial) HypoglycaemiaAlimentary (postgastrectomy) hypoglycaemiaNoninsulinoma pancreatogenous hypoglycaemia syndromeIn the absence of prior surgeryFollowing Roux-en-Y gastric bypass.Other causes of endogenous hyperinsulinismHereditary fructose intolerance, galactosaemiaIdiopathic